Bilateral Retinoblastoma ideally is managed by all except
1. Radiation
2. Laser excision
3. Enucleation
4. Thermotherapy

Correct answer: 2. Laser excision

Explanation: Any modality of treatment in each eye will depend upon the extent of the tumor. Generally,in bilateral cases, every effort is made to save at least one eye We do laser photocoagulation to damage the blood supply of the tumour and not laser excision Refer khurana 6/e